TRUS in carcinoma prostate is most useful for?
1. Seminal vesicle involvement
2. Measurement of prostatic volume
3. Guiding the Diagnostic biopsies
4. To detect focal area hypo echoic of malignancy

Correct answer: 3. Guiding the Diagnostic biopsies

Explanation: Transrectal ultrasound is indicated for prostate in early!
localized prostate carcinoma, as it is the most accurate method for staging the local disease and also guided biopsy
from suspicious areas of prostate (when S. PSA has been found to be elevated)..